Newborn infants are administered vitamin K at birth at a dose of ______
1. 0.5-1 mg IM
2. 5-10 mg IV
3. 1-5 mg IV
4. 0.1-0.5 mg IM

Correct answer: 1. 0.5-1 mg IM

Explanation: All newborn infants are to be administered vitamin K at a dose of 0.5 - 1 mg intramuscularly, to prevent hemorrhagic disease of newborn (HDN) However, for newborns with vitamin K deficiency, the dose of vitamin K administered is 1- 5 mg Intravenously. Ref: Nelson textbook of pediatrics 21st edition Pgno: 873